Protein requirement in adult male
1. 0.5 gm/kg/day
2. 1 gm/kg/day
3. 1.5 gm/kg/day
4. 2 gm/kg/day

Correct answer: 2. 1 gm/kg/day

Explanation: Ref:Park's Textbook of Preventive and Social Medicine 25th Ed Pgno : 662